Recurrent laryngeal nerve lies in relation to?
1. Superior thyroid artery
2. Inferior thyroid artery
3. Superior thyroid vein
4. Inferior thyroid vein

Correct answer: 2. Inferior thyroid artery

Explanation: The inferior thyroid artery is a branch of the thyrocervical trunk. It runs first upwards, then medially, and finally downwards to reach the lower pole of the gland. The terminal part of inferior thyroid artery is intimately related to the recurrent laryngeal nerve. Ref: BD Chaurasia's HUMAN ANATOMY, Volume 3, 4th edition.